Hellers myotomy is used in -
1. CHPS
2. Ca esophagus
3. Achalasia cardia
4. Hiatus hernia

Correct answer: 3. Achalasia cardia

Explanation: Ans. is 'c' i.e., Achalasia cardia SurgeryConditionHellers cardiomyotomyAchalasia CardiaNissens fundopicationGERDRamstaedfs pyloromyotomyCongenital hypertrophc pyloric stenosis